Recognized features of asbestosis do not include:
1. Calcification of pleura
2. Eggshell calcification of hilar lymph nodes
3. Clubbing of fingers
4. Restrictive pattern of ventilatory defect shown by pulmonary function

Correct answer: 2. Eggshell calcification of hilar lymph nodes

Explanation: Features of asbestosis include - clubbing, restrictive pulmonary function, calcification of pleura.Egg shell calcification is not seen in asbestosis. Causes of eggshell calcification in CXR: Treated lymphoma: (post-irradiation Hodgkin disease) usually 1-9 years following treatment Coal workers' pneumoconiosis (CWP) Scleroderma Amyloidosis Blastomycosis Silicosis